Sudden, transient and painless loss of vision may be complained by the patients with all of the following diseases except:
1. Carotid transient ischaemic attacks
2. Papilloedema
3. Papillitis
4. Migraine

Correct answer: 3. Papillitis

Explanation: Ans. Papillitis